Key enzyme of gluconeogenesis are all except?
1. Pyruvate carboxylase
2. PEP carboxykinase
3. Pyruvate kinase
4. Glucose-6-phosphatase

Correct answer: 3. Pyruvate kinase

Explanation: Ans. is 'c' i.e., Pyruvate kinase